H N is:
1. Bird flu virus
2. Vaccine for HIV
3. Causative agent of Japanese encpehalitis
4. An eradicated virus

Correct answer: 1. Bird flu virus

Explanation: Ans. (a) Bird flu virus which is a causative agent of bird flu. Majority of an influenza do not infect humans. However, an H5N1 is a strain with pandemic potential since it ultimately adapt into a strain that is contagious among humans.